Treatment of medullary Ca thyroid is:
1. Total thyroidectomy only
2. Total thyroidectomy + Radical neck dissection
3. Total thyroidectomy + Radio Iodine Therapy
4. Total thyroidectomy + prophylactic CND

Correct answer: 4. Total thyroidectomy + prophylactic CND

Explanation: Ans. (d) Total thyroidectomy + Prophylactic Central Neck Node dissection (CND)Ref: Schwartz 10th Edition Page 1549* Routine Central neck node dissection must be done for Medullary cancers of Thyroid.